Patch test is what type of hypersensitivity reaction?
1. Type I
2. Type II
3. Type III
4. Type IV

Correct answer: 4. Type IV